Gleasons Scoring is done for?
1. Prostratic cancer
2. Lung cancer
3. Bladder cancer
4. Hodgkin's lymphoma

Correct answer: 1. Prostratic cancer

Explanation: ANSWER: (A) Prostratic cancerREF: Harrison's 18th ed chapter 95The Gleason Grading system is used to help evaluate the prognosis of men with prostate cancer. Together with other parameters, it is incorporated into a strategy of prostate cancer staging which predicts prognosis and helps guide therapy.